All of the following are used for intravenous induction except:
1. Bupivacaine
2. Thiopentone
3. Ketamine
4. Etomidate

Correct answer: 1. Bupivacaine

Explanation: Ans. A: Bupivacaine Commonly used IV induction agents include: Propofol Sodium thiopental Etomidate Ketamine An inhalational induction may be chosen by the anesthesiologist where IV access is difficult to obtain, where difficulty maintaining the airway is anticipated, or due to patient preference (e.g. children). The most commonly-used agent for inhalational induction is sevoflurane because it causes less irritation than other inhaled gases.